Indicator for the outbreak of Plague epidemic is
1. Rat burrow index
2. Total flea
3. Specific flea index
4. Cheopis index

Correct answer: 4. Cheopis index

Explanation: Cheopis index: It is an average no of X.cheopis per rat. It is a specific flea index. If this index is more than 1, it is regarded as indicative of potential explosiveness of the situation, should a plague outbreak occur